Cause of angular conjunctivitis:
1. Coronavirus
2. Adenovirus
3. Moraxella
4. Gonococci

Correct answer: 3. Moraxella

Explanation: Conjuctivitis AGENT Giant Papillary conjunctivitis Allergy to contact lens Epidemic Kerato conjunctivits Adenovirus Acute Hemorrhagic conjunctivitis(Apollo Dis) enterovirus 70 (Apollo virus) Angular Moraxella Trachoma - - chlamydia A,B,C Swimming pool conjunctivitis chlamydia D to K Phlyctenular Type IV HSN, Staph Ag Membranus - diphtheria Vernal keratoconjunctivitis allergic conjuctivitis Inclusion conjuntivits chlamydia Ophthalmia neonatorum -bilateral inflammation of the conjunctiva occurring in a infant less than 30 days old. - Incubation period of ophthalmia neonatorum Chemical - 6 hours Gonococcal- 2-5 days Neonatal inclusion conjunctivitis (serotypes d to k of chlamydia trachomatis)- 5-14 days